Which of the following drug is contraindicated in liver disease?
1. Sitagliptin
2. Saxagliptin
3. Vildagliptin
4. Alogliptin

Correct answer: 3. Vildagliptin

Explanation: Viidagliptin is a DPP - 4 inhibitor which can lead to hepatotoxicity.